Alternative for SMR -
1. Tympanoplasty
2. Septoplasty
3. Caldwell Luc operation
4. Turboplasty

Correct answer: 2. Septoplasty

Explanation: Septoplasty

Septoplasty is a conservative approach to septal surgery; as much of the septal framework as possible is retained.
Muco-perichondrial/periosteal flap is generally raised only on one side.
This operation has almost replaced the SMR operation.
It can be done in adults as well as in children (in contrast to SMR, which is done only after 17 years).